DOC for Neisseria gonorrhea infection is
1. Ceftriaxone
2. Ciprofloxacin
3. Kanamycin
4. Cefaclor

Correct answer: 1. Ceftriaxone

Explanation: Ans. is 'a' i.e., Ceftriaxone Recommended Rx of Gonococcal infection (Penicillinase producing NG):* Gonococcal infection of cervix, urethra, pharynx, rectum# First line - Ceftriaxone, ciprofloxacin, ofloxacin.# Alternatives - Spectinomycin, ceftizoxime, cefotetan.* Gonococcal conjuctivitis and ophthalmia neonatorum - Ceftriaxone.* Disseminated gonoccal infection (Gonococcal arthritis)# Patient tolerant to b-lactam drugs - ceftriaxone, cefotaxime, ceftizoxim.# Patient allergic to b-lactam drugs - ciprofloxacin, ofloxacin, spectinomycin.# Continuation therapy - Ciprofloxacin, ofloxacin, levofloxacin.* Gonococcal epididymitis - ceftriaxone followed by doxycycline.DOC for gonorrhea is ceftriaxone